Gout is a disorder of
1. Purine metabolism
2. Pyrimidine metabolism
3. Oxalate metabolism
4. Protein metabolism

Correct answer: 1. Purine metabolism

Explanation: Disorders of purine metabolism :

Gout, Lesch-Nyhan syndrome, adenosine deaminase deficiency, purine nucleoside phosphorylase deficiency.

Disorders of pyrimidine metabolism :

Orotic aciduria, P-hydroxybutyric aciduria, uraciluria-thyminuria.